Simple partial seizure is diagnosed by -
1. EEG
2. BEAR
3. CT scan
4. MRI

Correct answer: 1. EEG